The newly erupted tooth:
1. Is protected by dental plaque
2. Has an early immunity to caries
3. Has a high affinity for fluoride
4. All of the others

Correct answer: 3. Has a high affinity for fluoride